VIPoma is associated with which syndrome
1. Zollinger Ellison
2. Verner Morrison
3. Carcinoid syndrome
4. Cushing's syndrome

Correct answer: 2. Verner Morrison

Explanation: .Vipoma -* Arising from D2 cells of pancreas * Watery diarrhoea, hypokalaemia, achlorohydria (WDHA syndrome) * Also called as pancreatic cholera or Verner- Morrison syndrome, weak - tea syndrome * Usually malignant * Secretes vasointestinal polypeptide > 150 pg/ml * Common in body and tail - solitary * Distal pancreatectomy is the treatment of choice * Prednisolone controls the diarrhoea * Octreotide is useful. ref:SRB's manual of surgery ,ed 3,pg no 640